Depot preparations are available for:
1. Haloperidol
2. Risperidone
3. Olanazepine
4. All

Correct answer: 4. All

Explanation: A, B, C .e. Haloperidol, Risperidone, Olanazepine